Which of the following drug acts by inhibiting DNA dependent RNA synthesis?
1. Rifampicin
2. Ethambutol
3. Colchicine
4. Chloromycetin

Correct answer: 1. Rifampicin

Explanation: Rifampicin acts by binding to beta subunit of bacterial DNA-dependent RNA polymerase and thereby inhibiting RNA synthesis. Rifampicin is bactericidal for mycobacteria, it can penetrate into most tissues and phagocytic cells. It has the capacity to kill intracellular organisms and those sequestered in abscesses and lung cavities. Indications: Along with other antituberculous drugs, used against mycobacterial infections Used to eliminate meningococcal carriage As prophylaxis in contacts of children with Haemophilus influenzae type b disease To eradicate staphylococcal carriage In serious staphylococcal infections such as osteomyelitis and prosthetic valve endocarditis Ref: Deck D.H., Winston L.G. (2012). Chapter 47. Antimycobacterial Drugs. In B.G. Katzung, S.B. Masters, A.J. Trevor (Eds), Basic & Clinical Pharmacology, 12e